What is the indication for surgery in asymptomatic patients with abdominal aortic aneurysm?
1. Transverse diameter > 3 cm
2. Transverse diameter > 5.5 cm
3. Transverse diameter > 7.5 cm
4. No need for surgery unless symptomatic

Correct answer: 2. Transverse diameter > 5.5 cm

Explanation: Most precise test for imaging aortic aneurysm : CT scan
5-year risk of rupture for aneurysm :<5cm – 1 to 2% and > 5 cm-20 to 40%
For asymptomatic abdominal aortic aneurysms, operation is indicated if the diameter is > 5.5 cm
In elective surgery of AAA, the operative mortality rate is 1 to 2% whereas after acute rupture the mortality of emergency operation is >50%
MC complications after repair are Cardiac (ischemia and infarction) & Respiratory (atelectasis & lower lobe consolidation)
MC non-cardiac complication after repair of AAA is Renal failure.